True statement about Parboiling is?
1. It is done to preserve nutritive quality of rice.
2. Recommended by the Central Food Technological Research Institute (CFTRI) & is known as cold soaking process.
3. Advantage of parboiling is development of sweet smell.
4. Parboiling can't protect against invasion of insects. Hence, can't be used for storage purposes

Correct answer: 1. It is done to preserve nutritive quality of rice.

Explanation: Parboiling It is partial cooking of rice in steam, for preserving its nutritive quality. This technique is recommended by Central Food Technological Research Institute, Mysore; & is k/a Hot soaking process. Paddy is soaked in water at 65-70oC for 3-4 hrs, resulting grains to swell Then water is drained & steam the soaked paddy in same container for 5-10 mins Resulting paddy is dried & home pounded / milled Uses During steaming - Vitamins & minerals present in outer aleurone layer of rice are driven into inner endosperm. Thus, preserved. During drying - Heat used hardens rice grain. Thus, insect invasion is very difficult & is suitable for storage than raw rice Starch also gets gelatinized improving keeping quality of rice. Disadvantages Development of peculiar smell or "off flavour" which some consumers do not relish. Modern methods of parboiling rice have been developed to outcome this disadvantage.